Chinese letter arrangement is seen in:
1. M.tuberculosis
2. Corynebnacterium diphtheria
3. Chlamydia trachomatis
4. M. leprae

Correct answer: 2. Corynebnacterium diphtheria

Explanation: Ans. B: Corynebnacterium diphtheria Nonpathogens that resemble Corynebacterium diptheriae in appearance are termed "diptheroids". The arrangement of the bacteria provide a clue to distinguish the pathogen Corynebacterium diptheriae from the nonpathogenic diptheroids. C. diptheriae bacteria form 90 degree angles to one another, forming "X's", "Y's", or "Chinese letters". In contrast, diptheroids are often in parallel arrangements called "palisades". The diagnostic significance of metachromatic granules arises from the fact that the causative agent of diptheria, Corynebacterium diptheriae, characteristically produces metachromatic granules.